Which of the following statement is true regarding methotrexate?
1. Oral bioavalability is 30-40%
2. Do not interfere with action of IL-1
3. Causes Thrombocytopenia
4. Not useful in crohn's disease

Correct answer: 3. Causes Thrombocytopenia

Explanation: Methotrexate causes hepatotoxicity, bone marrow suppression, alopecia, mucositis etcRef: Katzung 13th ed Pg: 1074